In a study every fourth student is selected in a class while sampling. This is a type of:-
1. Simple random sampling
2. Systematic random sampling
3. Stratified random sampling
4. Cluster random sampling

Correct answer: 2. Systematic random sampling

Explanation: Systematic Random Sampling:- Based on sampling fraction: Every Kth unit is chosen in the population list, where K is chosen by sampling internal. Sampling interval (K) : Total no. of units in population / Total No of units in sample.